True about kartagener's syndrome -a) Dextrocardiab) Infertilityc) Intellectual disabilityd) Bronchiectasis
1. acd
2. abd
3. abc
4. ab

Correct answer: 2. abd